Most common agent causing tuberculosis in AIDS patient in tropical countrie is -
1. Mycobacterium tubercolusis
2. Mycobacterium intracellulare
3. Mycobacteriumparvum
4. Mycobacterium atypical

Correct answer: 1. Mycobacterium tubercolusis

Explanation: In the USA and other Western countries the characteristic pathogen now is M.tuberculosis. REF:ANANTHANARAYAN AND PANIKER'S TEXTBOOK OF MICROBIOLOGY 9TH EDITION PAGE NO-576